A patient gives a history of previous chronic abscess on the deciduous precursor of 11. The following radiograph indicates:
1. Enamel hypoplasia
2. Turner’s hypoplasia
3. Amelogenesis imperfecta
4. Dentinogenesis imperfecta

Correct answer: 2. Turner’s hypoplasia

Explanation: Turner’s Hypoplasia
This condition represents a defect occurring during amelogenesis that is the result of either local trauma or infection originating from the deciduous predecessor.
Radiological signs
If the deformity is minimal, the tooth will show a localized area of hypoplasia. A prolonged disturbance will lead to pronounced changes in tooth morphology that include gross deformity, irregularity and a reduction in crown size.
Key Concept